Serum alkaline phosphate is not rassed in ?
1. Primary biliary cirrhosis
2. Hyperparathyoidism
3. Multiple myeloma
4. Hepatitis

Correct answer: 3. Multiple myeloma

Explanation: Ans. is 'c' i.e., Multiple Myeloma